Cholesteatoma is seen in -
1. ASOM
2. CSOM
3. Secretory ottitis media
4. Osteosclerosis

Correct answer: 2. CSOM